Absence of retepegs is seen in
1. OSMF
2. Lichen planus
3. Leukoplakia
4. All of the above

Correct answer: 1. OSMF